Acute renal failure results in
1. Hyperkalemic alkalosis
2. Hypokalemic alkalosis
3. Hyperkalemic acidosis
4. Hypokalemic acidosis

Correct answer: 3. Hyperkalemic acidosis

Explanation: Acute renal failure results in- Hyperkalemia Acidosis-causes are metabolic,diabetic ketoacidosis, respiratory acidosis ,sepsis Elevation in Anion gap. Ref:Harrison 20th edition pg no. 2108